The ectopic bruise is most commonly seen in -
1. Leg
2. Eye
3. Pinna
4. Scalp

Correct answer: 2. Eye

Explanation: Ectopic bruising or percolated or migratory contusion: A deep bruise, due to crushing of tissue against bone may take a long time to become visible. Blood will track along the fascial planes which form the least resistance and may appear where the tissue layers become superficial. 
For example hemorrhages in the soft tissue around the eyes and in eyelids can be caused by blunt trauma to the forehead, the blood gravitating downward over the supraorbital ridge; a bruise behind the ear may indicate a basal fracture.; in femur fracture, a bruise may appear in the thigh 
The site of bruise does not always indicate the site of violence.